IgG antibodies have a half-life of approximately
1. 1 hour
2. 1 day
3. 1 Week
4. 1 Month

Correct answer: 4. 1 Month